Crocodile tears are due to -
1. Cross innervation of facial nerve fibers
2. Cross innervation of trigeminal nerve fibers
3. Improper regeneration of trigeminal nerve
4. Improper regeneration of facial nerve

Correct answer: 4. Improper regeneration of facial nerve

Explanation: Crocodile tears (gustatory lacrimation):- There is unilateral lacrimation with mastication. This is due to faulty regeneration of parasympathetic fibres which now supply lacrimal gland instead of the salivary glands. It can be treated by a section of greater superficial petrosal nerve or tympanic neurectomy.